The enzyme, 5a-reductase is responsible for
1. Conversion of cholesterol to pregnenolone and enhancing steroidogenesis
2. Conversion of testosterone to dihydrotestosterone
3. Aroma za on of testosterone to estradiol
4. Increasing the synthesis of LH

Correct answer: 2. Conversion of testosterone to dihydrotestosterone